First step to be done in case of variceal bleeding-
1. Blood transfusion
2. IV Crystal]oides
3. Endoscopy
4. Somatostatin

Correct answer: 2. IV Crystal]oides

Explanation: Ans. is 'b' i.e., iv crystalloides Initial resuscitation is usually with isotonic crystalloid solutions. A minimum of 6 units of blood are typed and crossmatched for most patients. If PT is prolonged more than 3 seconds, fresh frozen plasma is a component of the resuscitation volume.Endoscopy to determine cause of bleeding - endoscopic sclerotherapy or endoscopoic variceal ligation and injection with cynoacrylate.iv antibiotics.Somatostatin/Octreotide.Balloon tamponade.